Which one of the following does not produce cyanosis in the first year of life -
1. Atrial septal defect
2. Hypoplastic left heart syndrome
3. Truncus arteriosus
4. Double outlet right ventricle

Correct answer: 1. Atrial septal defect

Explanation: Ans. is 'a' i.e., Atrial septal defect